Not a true statement regarding 3rd cranial nerve:
1. Palsy may lead to ptosis
2. Nucleus in lower mid brain
3. Uncontrolled BP is a common cause
4. Supplies medial rectus

Correct answer: 2. Nucleus in lower mid brain

Explanation: Nucleus of 3rd cranial nerve at the level of superior colliculus in the mid-brain. 3rd nerve supplies all the muscles of eye except lateral rectus( LR6) & superior oblique(SO4) 3rd CN palsy: -Pupil is down & out -Ptosis (as LPS also paralysed) -Common causes- uncontrolled BP/HTN